Under the School vision screening programme, vision screening in schools is done by:
1. Ophthalmologist
2. Optometrist
3. NGO worker
4. Teacher

Correct answer: 4. Teacher

Explanation: Under school vision screening programme, Screening is done by class teacher 1 teacher per 150 students Visual acuity cut-off for referral- <6/9 - Comes under secondary level of prevention.